What does satisfactory colposcopy mean?
1. Visualization of entire transformation zone
2. Visualization of endocervix
3. Visualization of ectocervix
4. Visualization offomices

Correct answer: 1. Visualization of entire transformation zone

Explanation: Ans. is 'a' i.e., Visualization of entire transformation zone Colposcopy:o It is the examination of vagina and cervix by binocular microscope.o A satisfactory colposcopic examination means visualization of the entire transformation zone between the ecto and endocervix formed by the squamocolumnar junction.